Which of the following anti-tubercular drug is contraindicated in pregnancy?
1. Ethambutol
2. Isoniazid
3. Rifampicin
4. Streptomycin

Correct answer: 4. Streptomycin

Explanation: Streptomycin is a bactericidal antibiotic, the first of a class of drugs called aminoglycosides to be discovered, and was the first antibiotic remedy for tuberculosis. It is derived from the actinobacterium Streptomyces griseus. Streptomycin cannot be given orally, but must be administered by regular intramuscular injections. An adverse effect of this medicine is ototoxicity, it is highly contraindicated in pregnancy because of ototoxicity in fetus. Ref: Richard Finkel, Michelle Alexia Clark, Pamela C. Champe, Luigi X. Cubeddu (2009), Chapter 34, "Antimycrobials", In the book, "Pharmacology", 4th Edition, Lippincott Williams and Wilkins Publications, United States, Page 404 ; KD Tripathi, 5th Edition, Page 681